Which of the following metabolic abnormality is seen in multiple myelona -
1. Hyponatremia
2. Hypokalemia
3. Hypercalcemia
4. Hyperphosphatemia

Correct answer: 3. Hypercalcemia